Disease of dermoepidermal junction is -
1. Pemphigus vulgaris
2. Atopic dermatitis
3. Bullous pemphigoid
4. SSSS

Correct answer: 3. Bullous pemphigoid

Explanation: intra epidermal cleavage subcorneal/upperspinous pemphigus erythematosus pemphigus foliaceous subcorneal pustular dermatosis type of IgA pemphigus staphylococcal scalded skin syndrome bullous impetigo spinous layer hailey hailey disease herpes simplex and herpes zoster insect bites friction blister suprabasal pemphigus vulgaris , pemphigus vegetans paraneoplastic pemphigus transient acantholytic disorder intraepidermal type of IgA pemphigus subepidermal cleavage basal keratinocyte vacuolation or lysis epidermolysis bullosa simplex erythema multiforme stevens johnsons syndrome/toxic epidermal necrolysis fixed drug eruption bullous lichen planus basement menbrane zone damage bullous pemphigoid pempghigoid gestationis mucous membrane pemphigoid dermatitis herpitiformis linear IgA DISEASE EPIDERMOLYSIS BULLOSA JUNCTIONAL epidermolysis bullosa acquisita bullous lupus erythematosus